Which of the following is not a work of Anganwadi worker
1. Immunization of children
2. Non formal preschool education
3. Sanitation
4. Health education

Correct answer: 3. Sanitation

Explanation: Anganwadi worker Angan literally means a courtyard. Under the ICDS (Integrated Child Development Services) Scheme, there is an anganwadi worker for a population of 400-800. There are about 100 such workers in each ICDS Project. As of date over 6,719 ICDS blocks are functioning in the country. The anganwadi worker is selected from the community she is Expected to serve. She undergoes training in various aspects of health, nutrition, and child development for 4 months. She is a part-time worker and is paid an honorarium of Rs. 1500 per month for the services rendered, which include health check-up including maintenance of growth chart, immunization, supplementary nutrition, health education, non-formal pre-school education and referral services. The beneficiaries are. especially nursing mothers, pregnant women, other women (15-45 years), children below the age of 6 years and adolescent girls . Along with Village Health Guides, the anganwadi workers are the community's primary link with the health services and all other services for young children. Ref : Park 23rd edition Pgno : 903